A child has 12 permanent and 12 deciduous teeth, what could be his age:
1. 9 years
2. 11 years.
3. 5 years.
4. 15 years.

Correct answer: 1. 9 years